Antipseudomonals are all, except.
1. Cephalexin
2. Carbenicillin
3. Piperacillin
4. Ceftazidime

Correct answer: 1. Cephalexin

Explanation: Ans. (A) Cephalexin(Ref: KDT 8/e p773,774,776; Goodman & Gilman 10/e p1209)Cephalexin is an orally effective first generation cephalosporin active against gram positive but not against gram negative organisms like pseudomonas.